Anita 15-year-old, complains of heavy periods since 2 months. O/E: wt 40 kg and BP 120/80 mmHg. All of the following investigations are indicated, except:
1. STSH
2. Platelet count
3. Bleeding and clotting time
4. Estradiol levels

Correct answer: 4. Estradiol levels